All are true regarding METHANOL poisoning except:
1. Hemodialysis should be done when serum methanol cencentration is above 50 mg/dl
2. Fomepizole acts by inhibiting aldehyde dehydrogenase
3. High anion gap metabolic acidosis is seen in severe cases
4. Visual disturbances are commonly seen

Correct answer: 2. Fomepizole acts by inhibiting aldehyde dehydrogenase

Explanation: Ref: Katzung 12/e p398 Fomepizole inhibits alcohol dehydrogenase and not aldehyde dehydrogenase *Serum methanol concentration above 20 mg/dl is an indication to start treatment and above 50 mg/dl is for Hemodialysis. *Metabolic product formaldehyde and fornic acid is responsible for blindness and high anion gap metabolic acidosis.